Berlin's edema is due to
1. Blunt trauma to eye
2. Extradural hemorrhage
3. Choroidal melanoma
4. Parsplanitis

Correct answer: 1. Blunt trauma to eye

Explanation: (Refer: AK Khurana Comprehensive Ophthalmology, 6th edition, pg no. 431)Berlin's edema (commotio retinae) is a common condition caused by blunt injury to the eye. It is characterized by a decreased vision in the injured eye a few hours after the injury. Under examination, the retina appears opaque and white in color in the periphery but the blood vessels are normally seen. Cherry-red' spot in the foveal region may be seen